Indications for hypotensive anaesthesia include
1. Mastoid surgery
2. Spinal surgery
3. Arteriovenous malformations
4. All of the above

Correct answer: 4. All of the above

Explanation: (D) All of the above